Expulsive choroidal haemorrhage is caused by rupture of:
1. Retinal vessels
2. Short posterior ciliary arteries
3. The choriocapillaris
4. Long posterior ciliary arteries

Correct answer: 2. Short posterior ciliary arteries

Explanation: Ans. Short posterior ciliary arteries